Which of the following leads to 'communicating' hydrocephalus?
1. Choroid plexus papilloma
2. Arnold Chiari malformation
3. Dandy walker malformation
4. Vein of Galen malformation

Correct answer: 1. Choroid plexus papilloma

Explanation: In Choroid plexus papilloma- 'communicating' hydrocephalus occurs due to increased production of CSF. Rest are causes of obstructive hydrocephalus- obstruction to flow of CSF